Type of filler particle used in packable composite:
1. Fibrous filler particles
2. Microcrystalline filler particles
3. Mixture of both
4. None of the above

Correct answer: 1. Fibrous filler particles

Explanation: Specifically the packable/condensable characteristics are derived from the inclusion of elongated, fibrous filler particles of about 100 µm in length and/or rough-textured surfaces or branched geometries that tend  to interlock and resist flow.
Phillips Dental materials 12th edition pg no 286